Venlafaxine comes under which class of drugs:
1. Selective serotonin reuptake inhibitor
2. Serotonergic noradrenergic reuptake inhibitor
3. Tricyclic antidepressant
4. Serotonin receptor antagonist

Correct answer: 2. Serotonergic noradrenergic reuptake inhibitor

Explanation: (Ref: Goodman & Gillman's 13th ed. P 268)* Five medications with a nontricyclic structure that inhibit the reuptake of both 5HT and NE have been approved for use in the US for treatment of depression, anxiety disorders, pain, or other specific conditions. The drugs are:# Venlafaxine and its demethylated metabolite desvenlafaxine# Duloxetine# Milnacipran, and# LevomilnacipranMn: Vania Duals My Love